True regarding Barrett's oesophagus is
1. Benign course
2. Premalignant condition
3. Squamous metaplasia of lower esophagus
4. Medical treatment is useful in preventing malignancy

Correct answer: 2. Premalignant condition

Explanation: Barrett's oesophagus is a metaplastic change in the lining mucosa of the oesophagus in response to chronic gastroesophageal reflux. The hallmark of 'specialised' Barrett's epithelium is the presence of mucus-secreting goblet cells (intestinal metaplasia).High-dose PPI treatment or an antireflux operation, these endoscopic ablation methods can result in a neosquamous lining. But there is no evidence yet that any of these methods are reliable in eliminating cancer risk.Bailey and love 26th edition PG: 1000